Enuresis is diagnosed in a child after the age of?
1. 2 years
2. 3 years
3. 4 years
4. 5 years

Correct answer: 4. 5 years

Explanation: Enuresis: Defined as normal, complete evacuation of the bladder at a wrong place and time at least twice a month after 5 years of age. Ref: Ghai Essential Pediatrics, ninth edition, pg. no. 58.